A 25-year-old man presents for a routine physical examination. The patient is tall (6 ft. 5 in) and on examination he was found to have an early diastolic murmur. His family pedigree is as given below. Which of the following is the mode of inheritance by which the disease is likely to be transmitted?
1. Autosomal dominant
2. Autosomal recessive
3. X-linked recessive
4. X linked dominant disorder

Correct answer: 1. Autosomal dominant

Explanation: Autosomal dominant Males and females are both affected (no sex predilection). Upto 50% of offsprings have chance of inheritance of disease, depending on disease penetrance. Affected male in 1st generation has passed disease gene to nearly half of his offsprings and so forth.